Shotgun does not contain -
1. Barrel
2. Choke bore
3. Bullets
4. Muzzle

Correct answer: 3. Bullets

Explanation: The synopsis of forensic medicine & toxicology ; Dr k.s narayan reddy ; 28th edition ; pg.no. 122 A shot gun have a muzzle ,barrels,choke bore but not a bullet .